Carbimazole causes which of the following congenital anomaly?
1. Aplasia cutis
2. Ventricular septal defect
3. Urinary tract anomalies
4. Atrial septal defect

Correct answer: 1. Aplasia cutis

Explanation: Congenital defects reported with carbimazoleAplasia cutisNeonatal hypothyroidismChoanal atresiaAbdominal wall defectsGoiter(Refer: Nelson's Textbook of Pediatrics, SAE, 1st edition, pg no. 3120)